Mechanism of direct transfer of free DNA-
1. Transformation
2. Conjugation
3. Transduction
4. None

Correct answer: 1. Transformation